Most common type of ASD?
1. Ostium primum
2. Ostium secundum
3. Coronary sinus defect
4. Sinus venosus type

Correct answer: 2. Ostium secundum

Explanation: Types of ASD: Name Remarks Ostium secundum Located in the central portion of atrial septum; Most common type of ASD Ostium primum Located at lower part of the atrial septum Sinus venosus defect Located at junction of superior vena cava and right atrium Coronary sinus defect Refers to unroofed coronary sinus which is a rare communication between the coronary sinus and the left atrium